UDP-Glucose is converted to UDP galactose by
1. lactose synthetase
2. Epimerase
3. Pyruvate kinase
4. all of the above

Correct answer: 2. Epimerase